Adjuvaqt used in DPT vaccine is?
1. Zinc
2. Aluminium
3. Copper
4. Magnesium

Correct answer: 2. Aluminium